Which of the following disease is transmitted by phlebotomus argentipes –
1. Epidemic typhus
2. Kala–Azar
3. Relapsing fever
4. Trench fever

Correct answer: 2. Kala–Azar